The minimum age for giving consent for medical termination of pregnancy is :
1. 16 years
2. 18 years
3. 20 years
4. 24 years

Correct answer: 2. 18 years

Explanation: 18 years